Which of the following is the most common arrhythmia:
1. Inappropriate sinus tachycardia
2. Junctional Premature complexes
3. Atrial fibrillation
4. Atrial flutter

Correct answer: 3. Atrial fibrillation

Explanation: Ans. C: Atrial fibrillation Atrial fibrillation is the most common sustained arrhythmia in adults. It is extremely uncommon in childrens. Typically the rate vary between 120-160 beats/min. Patients with AF are at increased risk for systemic embolism, congestive heart failure, and death. The loss of mechanically effective atrial contraction leads to blood stasis in the atria, which predisposes to formation of embolic atrial thrombi. Restoration of sinus rhythms has been shown to diminish subjective symptoms of palpitations and to improve cardiac output and functional capacity